Hair infection with scutula formation is seen in case of-
1. Tenia capitis
2. Jock itch
3. Tenia glabrosa
4. Tenia barbae

Correct answer: 1. Tenia capitis

Explanation: Ans. is 'a' i.e., Tenia capitis Clinical features of tinea capitiso Based on clinical picture, tinea capitis is divided intoNon-inflammatory tinea capitis It is caused by Anthropophilic organism (e.g., T.tonsurans), so less inflammation. It may be Scaly type - Partially bald area with peripheral scales. Hair present in bald area are lusturless and easily pluckable.Blackdot type - Hair are broken at the level of skin surface giving black dot appearance. Trichophyton tonsurans is the chief cause of Black-dot Tenia capitis.Inflammatory tinea capitis It is caused by Zoophilic organism (e.g., M.canis), which elicit intense inflammation.lt presents as boggy swelling pustulation-known as kerion. Pus discharges from multiple sinuses. Hair from the swelling are easily and painlessly pluckable. Lymphadenopathy (occiptal) may occur.Favus It is caused by T.schoenleinii. It is characterized by presence of fou!-swrelling yellowish cupshaped crust tScutulal entangling many scalp hair.